Maternal Alpha-fetoprotein is increased in -
1. Neural tube defects -
2. Diabetics
3. Fetal cardiac defects
4. Rubella

Correct answer: 1. Neural tube defects -